Single best mortality indicator-
1. CDR
2. PMR
3. ASDR
4. CFR

Correct answer: 3. ASDR

Explanation: Ans. is 'c' i.e., ASDR orT Age standardized death rate (ASDR) is best mortality indicator.